Inner diameter of adult male endotracheal tube is
1. 2 mm
2. 4 mm
3. 6 mm
4. 9 mm

Correct answer: 4. 9 mm

Explanation: Internal diameter of the endotracheal tube used usually for an adult male ranges from 8.0 to 9.5 ID for an adult female ranges from 6.5 to 7.5